The area is declared free of epidemic:
1. Till last secondary case recovers
2. No new case reported for the incubation period of disease since the last case
3. No new case reported for twice the incubation period of disease since the last case
4. No new case reported for six months since the last case

Correct answer: 3. No new case reported for twice the incubation period of disease since the last case

Explanation: Epidemic: Number of cases of a disease clearly in excess of normal frequency. An area is declared free of epidemic; if on search , no new cases are reported for 'twice the incubation period of the disease since the occurrence of last case'.